Secular trend is best demonstrated by?
1. Line diagram
2. Bar diagram
3. Histogram
4. Pie chart

Correct answer: 1. Line diagram